A 30-yrs-old diabetic female is concerned about pregnancy. which of following has the same risk as in normal pregnant women.?
1. Pre eclampsia and eclampsia
2. Infection
3. Cystic fibrosis chances to the baby
4. Postpartum hemorrhage after vaginal delivery

Correct answer: 3. Cystic fibrosis chances to the baby

Explanation: Diabetes can increase the incidence of anomalies in the fetus if sugars are high in the first trimester (Period of Organogenesis). However, genetic make up of the fetus cannot be altered and hence increased incidence of cystic fibrosis is not a possibility Maternal Complications like Pre eclampsia and eclampsia, Infection and PPH are more commonly seen in Pregnant females with diabetes as compared to Pregnant females without diabetes CF is an autosomal recessive disorder. It is caused by the presence of mutations in both copies of the gene for the cystic fibrosis transmembrane conductance regulator (CFTR) protein.